Regarding the parotid gland, all are true except
1. Is a serous gland and is in direct contact with internal carotid artery
2. Possesses a deep lobe in contact with the external acoustic meatus
3. Envelops the branches of the facial nerve
4. Lies within the deep cervical fascia

Correct answer: 1. Is a serous gland and is in direct contact with internal carotid artery

Explanation: Parotid gland is a serous salivary gland, but it lies in contact with the external carotid artery and its branches. It is separated from internal carotid artery by the posterior belly of digastric, stylohyoid and the styloid process.